Metabolic alkalosis is seen in-
1. Primary mineralocorticoid excess
2. Deficiency of mineralocorticoid
3. Decreased acid excretion
4. Decreased base excretion

Correct answer: 1. Primary mineralocorticoid excess

Explanation: Mineralocorticoid excess increases net acid excretion and may result in metabolic alkalosis, which may be worsened by associated K+ deficiency. ECFV expansion from salt retention causes hypertension. The kaliuresis persists because of mineralocorticoid excess and distal Na+ absorption causing enhanced K+ excretion, continued K+ depletion with polydipsia, inability to concentrate the urine, and polyuria.